"Learned behavior which has been socially acquired" is called -
1. Culture
2. Custom
3. Acculturation
4. Euthenics

Correct answer: 1. Culture

Explanation: Culture is defined as Learned behavior which has been socially acquired Acculturation means culture contact , when there is contact between two people with different types of culture, there is diffussion of culture both ways The mere existence of a society, the mere pluralityof individuals gives rise to customs from which no single member of the community can escape Euthenics ; the mere improvement of genotype is no use unless the improved genotypes is given acces to suitable environment,this environmental manipultion is called as euthenics ref ;(page no;828,671)23rd edition of PARK's textbook of Preventive and Social medicine